Which of the following is an example of Trinucleotide repeat mutation?
1. Huntington's chorea
2. Fragile-X-syndrome
3. Friedreich ataxia
4. All of the above

Correct answer: 4. All of the above

Explanation: Polyglutamine Disorders Huntington Disease (HD) Spinobulbar Muscular Atrophy (SBMA) Spinocerebellar Ataxias (SCA types 1, 2, 3, 6, 7, and 17) Dentatorubro-Pallidoluysian Atrophy (DRPLA) Non-polyglutamine Disorders Fragile X Syndrome (FRAXA) Fragile XE Mental Retardation (FRAXE) Friedreich Ataxia (FRDA) Myotonic Dystrophy (DM, not MD) Spinocerebellar Ataxias (SCA types 8, and 12) Ref-D.M.Vasudevan 7/e p509